Signs and symptoms of involvement of peripheral nerves in the form of pain, paraesthesia, motor weakness and reflex loss, develops in fairly large percentage of patients with:
1. Hypoparathyroidism
2. Diabetes mellitus
3. Adrenal insufficiency
4. Hyperthyroidism

Correct answer: 2. Diabetes mellitus